The most reliable criteria in Guastafson method of age estimation is -
1. Attrition
2. Secondary dentin deposition
3. Transparency of root
4. Cementum apposition

Correct answer: 3. Transparency of root

Explanation: Transparency of root is the most reliable criterion in Gustafson's method.